All of the following are seen in follicular carcinoma of thryoid, except:
1. PAX8-PPARG fusion
2. RAS gene mutations
3. Point mutations of TP53
4. Loss-of-function mutations of PTEN gene

Correct answer: 3. Point mutations of TP53

Explanation: Genetics of follicular thyroid carcinomas: 30% to 50% of follicular carcinomas harbor RAS mutation. 20% to 50% of follicular carcinomas harbor PAX8-PPARG fusion. Up to 10% of follicular carcinomas exhibit gain-of-function mutations of PIK3CA (the gene that encodes phosphoinositide 3-kinase ) or loss-of-function mutations of PTEN, a tumor suppressor gene and negative regulator of PI3K pathway. Point mutations of TP53, beta-catenin (CTNNB1), and TERT are seen in poorly differentiated and anaplastic carcinomas.